All endothelial cells produce thrombomodulin except those found in
1. Hepatic circulation
2. Cutaneous circulation
3. Cerebral circulation
4. Renal circulation

Correct answer: 3. Cerebral circulation

Explanation: ref Robbins 7/e p85, 8/e p116 Harrison 17/e p365,9/e p121 Thrombomodulin functions as a cofactor in the thrombin-induced activation of protein C in the anticoagulant pathway by forming a 1:1 stoichiometric complex with thrombin. This raises the speed of protein C activation thousandfold. Thrombomodulin-bound thrombin has procoagulant effect at the same time by inhibiting fibrinolysis by cleaving thrombin-activatable fibrinolysis inhibitor(TAFI, aka carboxypeptidase B2) into its active form. Thrombomodulin is a glycoprotein on the surface of endothelial cells that, in addition to binding thrombin, regulates C3b inactivation by factor I. Mutations in the thrombomodulin gene (THBD) have also been reported to be associated with atypical hemolytic-uremic syndrome (aHUS) Not synthesized by cerebral e arteries cells